Gasless abdomen in X-ray is a sign of -
1. Acute pancreatitis
2. Necoising enterocolitis
3. Ulcerative colitis
4. Intussusception

Correct answer: 1. Acute pancreatitis

Explanation: Ans. is 'a' i.e., Acute pancreatitis Due to excessive vomiting